Cutis anserine seen in:
1. Drowning
2. Throatling
3. Strangulation
4. Garroting

Correct answer: 1. Drowning

Explanation: A i.e. Drowning